Cowden syndrome is commonly associated with
1. Renal cell carcinoma
2. Thymic Carcinoid
3. Cerebellar haemangioblastoma
4. Hamartoma

Correct answer: 4. Hamartoma

Explanation: (D) Hamartoma # Cowden syndrome (also known as "Cowden's disease," and "Multiple hamartoma syndrome") is a rare autosomal dominant inherited disorder characterized by multiple tumor-like growths called hamartomas and an increased risk of certain forms of cancer.> Stauffer syndrome - paraneoplastic, non-metastatic liver disease is a sign of Renal cell carcinoma.> Thymic carcinomas are, for the most part, of epithelial origin, although a few other unusual cell types can be found. All these lesions are very uncommon, and several are rare. They include some with low malignant potential (eg, well-differentiated squamous cell carcinoma, basaloid carcinoma, mucoepidermoid carcinoma) and those with features of a more aggressive malignancy (E.g., Sarcomatoid carcinoma, clear cell carcinoma, neuroendocrine carcinoma, lymphoepitheliomalike tumors, anaplastic undifferentiated tumors).